During replication of DNA, which one of the following enzymes polymerizes the Okazaki fragments?
1. DNA polymerase I
2. DNA Polymerase II
3. DNA Polymerase III
4. RNA Polymerase I

Correct answer: 3. DNA Polymerase III

Explanation: On the leading (forward) strand, the DNA is synthesized continuously. On the lagging (retrograde) strand, the DNA is synthesized in short fragments, the so-called Okazaki fragments. DNA polymerase III will synthesize a continuous or discontinuous strand of DNA, depending if this is occurring on the leading or lagging strand (Okazaki fragment) of the DNA.Ref: Harper 27e, page no: 383